Structure not passing through the esophageal hiatus
1. Left phrenic nerve
2. Left gastric artery
3. Left vagus nerve
4. Right vagus nerve

Correct answer: 1. Left phrenic nerve

Explanation: the esophageal hiatus is an opening in the diaphragm through which the esophagus and the vagus nerve pass. It is located in the right crus, one of the two tendinous structures that connect the diaphragm to the spine. Fibers of the right crus cross one another below the hiatus Left Phrenic Nerve Passes anteriorly over the medial part of the left subclavian artery. ... Crosses the aortic arch and bypasses the vagus nerve. Coursesalong the pericardium of the leftventricle. Pierces and innervates the inferior surface of the diaphragm